Which is/are the GI hormones stimulating insulin secretion?
1. GIP
2. Gastrin
3. Secretin
4. All of the above

Correct answer: 4. All of the above

Explanation: GIP, Gastrin, Secretin & CCK. Stimulating factor for insulin secretion: Glucose - Relationship between glucose concentration & insulin secretion is "SIGMOIDAL" Mannose Amino acids (arginine, leucine) Intestinal hormones -GLP -1. GIP. Gastrin. Secretin. CCK b-keto acids Parasympathetic stimulation - Acetylcholine cAMP b-adrenergic stimulation. Drugs:Endocrine hormones like Growth hormone, Glucagon & Glucocorticoids. Theophylline. Sulfonylureas